A 31 year old female patient complainsts of bilateral impairment of hearing for the 5 year.On examination, tympanic membrane is normal and audiomgram shows a bilateral conductive deafness. Impedance audiometry shows As type of curve and acoustic reflexes are absent. All constitute part of treatment,except -
1. Hearing aid
2. Stapedectomy
3. Sodium fluoride
4. Gentamycin

Correct answer: 4. Gentamycin